Cork screw appearance on barium swallow is seen in:
1. Achalasia cardia
2. Diffuse esophageal spasm
3. Zenker's diverticulum
4. Scleroderma

Correct answer: 2. Diffuse esophageal spasm

Explanation: Ans. (b) Diffuse esophageal spasmRef: SRB Manual of Surgery 4th ed. /1323* Cork screw appearance on barium swallow is seen with diffuse esophageal spasm.* Bird beak appearance is seen with achalasia cardia.* Rat tail appearance as per bailey and love is seen with carcinoma esophagus.